ICD 10 -
1. Revised every 5 years
2. Consists of 10 chaptors
3. Arranged in 3 volumes
4. Was produced by UNICEF

Correct answer: 3. Arranged in 3 volumes

Explanation: Ans. is 'c' i.e., Arranged in 3 volumes International classification of disease (ICD) The ICD was produced by WHO and has been accepted for national and international use. Since its inception, ICD has been revised about once every 10 years. The latest revision, the 10' revision (ICD-10), came into effect on January 1, 1993. o The ICD also provides a basis that can be accepted for use in other fields e.g. dentistry, oncology and ophthalmology. The ICD-10 is arranged in 21 major chaptors. ICD-10 is arranged in 3 volumes :? 1) Volume 1 Classifications, lists, nomenclature & definitions 2) Volume 2 Instruction manual 3) Volume 3 ---> Alphabetical index